As compared to unfranctioned heparin, low molecular weight heparins
1. Are absorbed more uniformly when given subcutaneously
2. Require more frequent laboratory monitoring
3. Can be given to patients with heparin induced thrombocytopenia
4. Predispose to higher risk of osteopenia

Correct answer: 1. Are absorbed more uniformly when given subcutaneously

Explanation: Refer Katzung 10/e p 546 Unlike unfranctioned heparin, LMW heparins have more consistent SC bioavalilabilty and thus do not require monitoring Adverse effects of both type of heparins are similar Both are contraindicated in heparin induced thrombocytopenia